All are true about heparin except:
1. Inhibit thrombin IIa
2. Cause thrombocytopenia
3. Monitoring of aPTT is done after its administration
4. Duration of action is 3-6 days

Correct answer: 4. Duration of action is 3-6 days

Explanation: Ans: D (Duration) "Heparin: Duration of action- 4 to 6 hr (cf Warfarin 3-6 dj KDT6th/604HEPARINThe anticoagulant action is exerted mainly by inhibition of factor Xa as well as thrombin (IIa) mediated conversion of fibrinogen to fibrinIt acts indirectly by a ctivoting plasma an tith rombin HP. The heparin - AT III complex then binds to clotting factors of the intrinsic & common pathways (Xa, IIa (Thrombin), IXa, XII a & XIIIa) & inactivate them but not factor Vila, operative in the extrinsic pathway.Low concentration of heparin prolong aPTT without significantly prolonging PTClose monitoring of the activated partial thromboplastin time (a PIT) is necessary in patients receiving UEHAdverse EffectsBleeding due to overdose is the most serious complication of heparin therapy. Haematuria is generally the first sign.Thrombocytopenia is another common problemTransient & reversible alopecia is infrequentHypersensitivity reactions are rare- urticaria, rigor, fever & anaphylaxis.Osteoporosis may develop on long term useHEPARIN-INDUCED THROMBOCYTOPENIA (HIT)HIT is a systemic hypercoagulable state that occurs in 1-4% of individuals treated with UFH for a minimum of 7 days. Surgical patients are at greatest risk. The reported incidence of HIT is lower in pediatric populations outside the critical care setting and is relatively rare in pregnant women.The risk of HIT may be higher in individuals treated with UFH of bovine origin compared with porcine heparin and is lower in those treated exclusively with LMWH